Which of the following movements will be affected if the greater tubercle of the humerus is lost -
1. Abduction and lateral rotation
2. Adduction and flexion
3. Adduction and medial rotation
4. Flexion and medial rotation

Correct answer: 1. Abduction and lateral rotation

Explanation: Muscles attached to greater tuberosity are.


Supraspinatus: - Helps in the initial range of abduction.
Infraspinatous, Teres minor : - External (lateral) rotation.


Therefore, these movements are affected in fracture greater tuberosity.
Muscle attached to lesser tuberosity is subscapularis (an internal or medial rotator of shoulder joint). So, movement affected in lesser tuberosity fracture is an internal rotation.